Malti, a 45 years female pt. with a family h/o breast carcinoma, showed diffuse microcalcification on mammmography. Indraductal carcinoma in situ was seen on biopsy. Most appropriate management is ?
1. Quadrantectomy
2. Radical mastectomy
3. Simple mastectomy
4. Chemotherapy

Correct answer: 3. Simple mastectomy

Explanation: Ans. is 'c' ie. Simple Mastectomy Since this patient is showing diffuse microcalcification on mammography, a simple mastectomy would be the most appropriate procedure. Treatment of Ductal Ca in situ (DCIS) DCIS carries a high risk for progression to an invasive cancer. Schwartz writes - "The risk of invasive breast cancer is increased nearly five fold in women with DCIS. The invasive cancers are observed in the ipsilateral breast, usually in the same quadrant as the DCIS that was originally detected, suggesting that DCIS is an anatomic precursor of invasive ductal carcinoma."